Gangliosides consist of
1. Nitrogenous base
2. Glycerol
3. Phosphate
4. Sialic acid

Correct answer: 4. Sialic acid

Explanation: Gangliosides are synthesized from ceramide by the addition of activated sugars (eg, UDPGlc and UDPGal) and a sialic acid, usually N-acetylneuraminic acid. Gangliosidoses is accumulation of gangliosides. Ex: Tay-Sachs disease Ref : Biochemistry by U. Satyanarayana 3rd edition Pgno : 37